Ms X has a bad habit of biting her fingernails and pulling at her cuticles until her fingers bleed and have sores. Her therapist is teaching her how to not bite and pick at her fingernails using various learning principles. Her therapist is using
1. Psychoanalysis
2. Client centered therapy
3. Behaviour therapy
4. Emotion focused therapy

Correct answer: 3. Behaviour therapy

Explanation: Behavioral therapy is learning given by BF Skinner , according to him all behaviors are learned phenomenon and thus can be unlearned. Positive reinforcement a type of reinforcement when a behavior is rewarded there is more chance that the behavior is repeated Negative reinforcement is that when a behavior is done and an aversive response is removed, the behavior is repeated. When I go and meet my girlfriend, she checks my messages and picks up fight (aversive response) suddenly I delete all messages one day and that day there was no fight (no aversive response) then that behavior is repeated (delete all messages before meeting my girlfriend) U do a behavior and a aversive response is given, the chance that u repeat the behavior is less Extinction is the type of reinforcement where a behavior is done and a rewarding response is removed the chance is that behavior will not be repeated A child likes to play with children( reward) but when the child fights with other children( undesirable behavior) the child will be removed from playing( removing a reward) , then the child stops fighting with other children( reduction of undesirable behaviour) Reference: Kaplon and sadock, 11 th edition, synopsis of psychiatry, 11 th edition, pg no. 877